Cleft hard palate is repaired around -
1. Soon after birth
2. After one month
3. 3-5 months
4. 12-15 months

Correct answer: 4. 12-15 months

Explanation: Ans- D 12-15 months Timing of elective surgery for various conditions Cleft lip 3mon Cleft soft palate. 3mon Cleft hard palate. 12-15 Mon Combined soft and hard palate. 1 y Combined lip plus soft palate - 3 months Umbilical hernia - conservative till 2 years of age. Surgery if still symptomatic Hypospadias. 6-12 Mon Inguinal hernia. As early as possible Hydrocele. >1 y Undescended testis. 6m - 1 y PDA. At birth COA. 3-4 y or as soon as the child is medically fit.